All are endogenous catecholamines except ?
1. Epinephrine
2. Norepinephrine
3. Dopamine
4. Dobutamine

Correct answer: 4. Dobutamine

Explanation: Ans. is 'd' i.e., Dobutamine Catecholamines Endogenous : -Adrenaline, noradrenaline, dopamine. Synthetic : - Isoprenaline, Dobutamine, Dopexamne, Fenoldopam, Dipivefrine, Ibopamine.